The antimicrobial agent which inhibits the ergosterol biosynthesis is :
1. Ketoconazole
2. Amphotericin B
3. 5-Flucytosine
4. Griseofulvin

Correct answer: 1. Ketoconazole